Evaluation of screening test is by -
1. Sensitivity
2. Specificity
3. Predictive value
4. All the above

Correct answer: 4. All the above